Which tumors suggested by "Trouser leg appearance" on an ascending myelogram?
1. Extradural
2. Extramedullary
3. Intramedullary
4. Vertebral

Correct answer: 3. Intramedullary

Explanation: Trouser leg appearance on myelography is seen in intramedullary block.